Liquefactive necrosis is seen in all except:
1. Wet gangrene
2. Myocardial infarction
3. Sepsis
4. Brain abcess

Correct answer: 2. Myocardial infarction

Explanation: Ans: b (Myocardial infarction) Ref: Robbins, 7th ed,p."Myocardial infarction is an example of coagulative necrosis"Necrosis:Morphological changes that follow cell death in living tissue due to degradative action of enzymes on lethally injuried cells.TypesCoagulative necrosis:* Basic outline is preserved* Characteristic of hypoxic cell deathExcluding CNSe.g.: heart, kidney, adrenalsCaseous necrosis:* Tissue architecture completely obliterated* Typically seen in center of tuberculosis infection.Liquefactive necrosis:* Basic ouline not preserved* Complete digestion--from formation to liquid viscous masse.g.: Hypoxic death of cells in CNS bacterial and fungal infection, wet gangreneFat necrosis* Seen in adipose tissue due to action of lipases* e.g., acute pancreatic necrosis fat necrosis of breast - induced by trauma.Remember:When coagulation pattern is predominant, it is dry gangrene.When liquefactive pattern is dominant it is wet gangrene.Fibrinoid necrosis is an immediate process with deposition of hyaline like proteinaceous material in the arterial wall.